4 year old child with severe wasting and voracious apetite without pedal edema ?
1. Kwashiorkar
2. Marasmus
3. Both
4. None

Correct answer: 2. Marasmus

Explanation: Ans. is `b' i.e., Marasmus